Whipples triad is seen in -
1. Islet cell tumour
2. Ca head pancreas
3. Argentaffinoma
4. Cholangiocarcinoma

Correct answer: 1. Islet cell tumour